For diagnosis of diabetes mellitus, Fasting blood glucose level should be more than-
1. 126mg\/dl
2. 140mg\/dl
3. l00mg\/dl
4. 200mg\/dl

Correct answer: 1. 126mg\/dl

Explanation: Ans is option 1 - 126mg/dl For diagnosis fasting blood sugar level should be more than or equal to 126mg/dl or 7mmol/l Ref Harrison 19 /2401